Blood will interfere with the nitrazine test for detecting ruptured membranes because:
1. It is acid
2. It is alkaline
3. It contains increased amounts us sodium chloride
4. It contains decreased amounts of sodium chloride

Correct answer: 2. It is alkaline

Explanation: Blood mixes with nitrazine to produce false positive results, as there is increase in ph. It turns the litmus paper to blue suggestive of PROM. TEXTBOOK OF OBSTETRICS, SHEILA BALAKRISHNAN, 2nd EDITION,pg:197